Urea cycle is linked to TCA cycle by ?
1. Arginine
2. Ornithine
3. Oxaloacetate
4. Fumarate

Correct answer: 4. Fumarate

Explanation: Ans. is 'd' i.e., Fumarate Fumarate is released during urea cycle, which is an intermediate of Kreb's cycle, thus linking the two.